Acute febrile neutrophilic dermatosis is seen in-
1. Haberman syndrome
2. Kasabach merritt syndrome
3. Sweet syndrome
4. Behcet's syndrome

Correct answer: 3. Sweet syndrome

Explanation: Ans. c. Sweet syndromeSweet syndrome is associated with fever, raised ESR and leukocytosis so also known as acute febrile neutrophilic dermatosis